A 45 year old male with a history of alcohol dependence presents with confusion, nystagmus and ataxia. Examination reveals 6th cranial nerve weakness. He is most likely to be suffering from:
1. Korsakoff's psychosis
2. Wernicke encephalopathy
3. De Clerambault syndrome
4. Delirium tremens

Correct answer: 2. Wernicke encephalopathy

Explanation: Wernicke encephalopathy is characterised by a triad of confusion, ophthalmoplegia and ataxia in an alcoholic patient Ref : Harrison's Principles of Internal Medicine 21st ed